False statement about amyloidosis is
1. Made of calcified proteins
2. A complication of chronic infections
3. Associated with extracellular eosinophilic hyaline material
4. Apple green birefringence in polarized light

Correct answer: 1. Made of calcified proteins

Explanation: harshmohan textbook of pathology 7th edition. *extracellular deposition of fibrillar insoluble proteinatious substance called amyloid having common morphological appearance, staining property and physical structures but with variable protein composition.